Percentage of lidocaine in Eutectic mixture -
1. 1%
2. 2.50%
3. 5%
4. 10%

Correct answer: 2. 2.50%

Explanation: Ans. is 'b' i.e., 2.5% Eutectic mixture of local Anaesthetics o This is unique topical preparation which can anesthetize intact skin. o It is a mixture of 2.5% lidocaine and 2.5 prilocaine. o It acts slowly and the cream must be held in contact with the skin for at least 1 hour. o EMLA is used: to make venepuncture painless especially in children, and for procedures like skin grafting & circumcision. o As systemic absorption of prilocaine can cause methemoglobinemia, EMLA should not be used on mucocutaneous membrane or in a very small child.